Normal splanchnic blood supply of the liver includes-
1. Portal vein
2. Splenic artery
3. Superior mesenteric artery
4. Inferior mesenteric vein

Correct answer: 1. Portal vein

Explanation: Ans. is 'a' i.e., Portal vein * Liver has dual blood supply and receives 20% of its blood supply through hepatic artery (systemic) and 80% through portal vein (splanchnic). Portal vein is formed by union of splenic vein and superior mesenteric veins.* Venous drainage is through hepatic veins into IVC.